Patch test is read after
1. 2 hours
2. 2 days
3. 2 months
4. 2 weeks

Correct answer: 2. 2 days

Explanation: Ref Harrison20th edition pg 2345